Meckel's diverticulum, true are A/E :
1. Has three layers with artery
2. Heterotopic epithelium in 50-60% cases
3. Always gastric epithelium
4. May present with hemorrhage

Correct answer: 3. Always gastric epithelium

Explanation: Ans. is 'c' i.e. Always gastric epithelium